Which of the following is an selective alpha 2 antagonist ?
1. Prazosin
2. Labetalol
3. Yohimbine
4. Butoxamine

Correct answer: 3. Yohimbine